In transcription anticodon is seen in ?
1. t-RNA
2. m-RNA
3. r-RNA
4. None

Correct answer: 1. t-RNA

Explanation: A i.e. t - RNA